Commonest complication of Zenker's diverticulum is
1. Dysphonia
2. Gastroesophageal reflux
3. Lung abscess
4. Perforation

Correct answer: 3. Lung abscess

Explanation: Commonest complications are lung abcess and pneumonia. It occurs because of Regurgitation during night while turning neck. Othercomplications are abscess in the neck due to infection in the pouch, Carcinoma, Weight loss and cachexia. Reference: SRB's Manual of Surgery, 6th Edition, page no=422